Which of the following is true about degenerative myopia?
1. More common in males as compared to females
2. Myopic degeneration can lead to retinal detachment
3. It is seen in <-6 Diopters myopia
4. Optic dis swelling is seen

Correct answer: 2. Myopic degeneration can lead to retinal detachment

Explanation: Ans. b. Myopic degeneration can lead to retinal detachment (Ref: Khurana 4th/34)Myopic degeneration can lead to retinal detachment.Pathological Myopia/Degenerative/Progressive myopiaPathological Myopia/Degenerative /Progressive myopia is a rapidly progressive error which starts in childhood at 5-10 years of ageResults in high myopiaQ (> -6 D) during early adult lifeLess common, seen in 2% of populationEtiology:Results from rapid axial growth of eyeballEtiological hypothesis:Genetic Factors (Major role) and General Growth Process (Minor role)|More growth of retinaStretching of sclera* Increased axial lengthQ* Degeneration of choroidQ* Degeneration of retinaQ* Degeneration of vitreousQClinical Features:SymptomsSigns* Defective visionQ* Muscae volitantes* Night blindness* Prominent eye balls* Large cornea* Deep anterior chamber* Slightly large pupils, react slugguishly to lightFundus Examination:Myopic crescentsQ (on temporal edge of optic disc)Foster fuch's spotQ (dark red patch at macula due to retinal neovascularization and Choroidal hemorrhage)Cystoid degenerationQPeripheral retinal degeneration (lattice and snail track degeneration)QPosterior staphylomaQComplications of Pathological Myopia* Retinal detachmentQ* Complicated cataractQ* Vitreous hemorrhageQ* Choroidal hemorrhageQTreatment:Optical treatment of myopia by concave lensesSurgical treatment